Case finding in RNTCP is based on-
1. Sputum culture
2. Sputum microscopy
3. X-ray chest
4. PCR antibody detection

Correct answer: 2. Sputum microscopy

Explanation: Ans. is 'b' i.e. Sputum microscopy o Sputum smear examination by direct microscopy is the method of choice for case detection.o Two sputum samples are collected.Day 1sample 1Patient provides an "on-the-spot" sample under supervision when presenting to the health facility. Give the pateient a sputum container to take home for an early moring sample the following morning.Day 2sample 2Patient brings an early morning sampleo It any of the two samples or both samples are positive, case is diagnosed as smear-positive TB and anti-TB treatment is started.